Which of the following drugs is not used for the treatment of hyperkalemia ?
1. Salbutamol
2. Calcium gluconate
3. Sodium bicarbonate
4. Magnesium sulphate

Correct answer: 4. Magnesium sulphate